Drugs causing macular toxicity when given intravitreally-
1. Gentamycin
2. Vancomycin
3. Dexamethasone
4. Ceftazidime

Correct answer: 1. Gentamycin

Explanation: Ans. is 'a' i.e., Gentamycino Intravitreal aminoglycosides (gentamycin, amikacin) are a reported cause of macular toxicity.o Aminoglycosides induced macular toxicity is thought to be partially due to the gravity-induced settling of drugs on the macula in supine position.o This may result in a higher concentration of drug locally at the macula.